All are true about post meningococcal reactive disease, EXCEPT:
1. Develops after 4 weeks of meningococcal disease
2. Maculopapular or vasculitic rash and polyserositis
3. These features resolve spontaneously without sequelae
4. Antibiotic prophylaxis is not needed

Correct answer: 1. Develops after 4 weeks of meningococcal disease

Explanation: It is immune complex related problem, develops 4-10 days after the onset of meningococcal disease, with manifestations that include a maculopapular or vasculitic rash, and polyserositis with fever. These features resolve spontaneously without sequelae. No need to treat/prophylaxis with antibiotic. Ref: Harrisons Principles of Internal Medicine, 18th Edition, Page 1215